Cat is an agent for transmission of the following disease of man -
1. Isospora hominis
2. Fasciola hepatica
3. Toxoplasma gondii
4. Chilomastrix mensili

Correct answer: 3. Toxoplasma gondii

Explanation: Cat and other felines- definitive host Human - intermediate host (Refer pgno:64 baveja 3 rd edition)